A periapical abscess of a mandibular second molar space spreads most commonly to the
1. Submandibular space
2. Temporal space
3. Sublingual space
4. Infra temporal space

Correct answer: 1. Submandibular space